"Adam's test" is done for:
1. Diagnosis of thoracic outlet syndrome
2. To differentiate between structural and postural scoliosis
3. To check the perfusion of hand
4. To check Progression of nerve regeneration

Correct answer: 2. To differentiate between structural and postural scoliosis

Explanation: Ans. B. To differentiate between structural and postural scoliosis* Adams forward bend test helps to differentiate functional and structural scoliosis.* Functional scoliosis will disappear on forward bending while structural scoliosis will not.